Double decidual sac sign is indicative of?
1. Ectopic pregnancy
2. Intrauterine pregnancy
3. H. mole
4. Twin pregnancy

Correct answer: 2. Intrauterine pregnancy

Explanation: Ans. is 'b' i.e., Intrauterine pregnancy Intradecidual sign and double decidual sign.* The early embryo (blastocyst) is implanted about 6 to 7 days after fertilization and becomes completely imbedded within the decidua at 9.5 days. As the early gestational sac enlarges, it becomes visible by ultrasonography. The gestational sac, however, remains within markedly thickened ipsilateral decidua. The uterine cavity remains relatively undistorted (i.e., straight) and can be delineated by ultrasonography. The gestational sac, therefore, can be seen adjacent to a straight uterine cavity within a thickened decidua. This is called an intradecidual sign.* A little later, around just after 5 weeks, the double decidual sac sign is seen. This is seen as a hyperechoic ring (the deciduas capsularis), partially surrounded by another hyperechoic ring (the decidual parietalis). These two layers of the decidua are separated by an anechoic space- the fluid within the uterine cavity. Where both layers of the decidua capsularis and parietalis merge is the decidua basalis. The decidua basalis represents the site of future placenta formation.* If a double decidual sac sign is present, then it is highly suggestive that the intrauterine fluid collection is an intrauterine pregnancy.Also know* A double bleb sign is a sonographic feature where there is visualisation of a gestational sac containing a yolk sac and amniotic sac giving an appearance of two small bubbles. The embryonic disc is located between the two bubbles. It is an important feature of an intrauterine pregnancy and thus distinguishes a pregnancy form a pseudogestational sac or decidual cast cyst. It should not be confused with the double decidual sac sign.